Internal rectal venous plexus lies at ?
1. Outer anal verge
2. White line of Hilton
3. Proximal to pectinate line
4. Distal to pectinate line

Correct answer: 3. Proximal to pectinate line

Explanation: Internal rectal venous plexus (Hemorrhoidal plexus) lies above the pectinate line.It lies in the submucosa of anal canal and drains mainly into superior rectal vein, but communicates freely with external rectal venous plexus.The internal plexus is in the form of a series of dilated pouches and veins present in the 3, 7 and 11 O'clock positions are large and constitute potential sites from primary internal piles (hemorrhoids).